When does marbling occur after death of a person?
1. After 36 hours
2. Within 36 years
3. After 7 days
4. Within 2 hours

Correct answer: 1. After 36 hours

Explanation: Marbling is due to conversion of haemoglobin into sulphmethemoglobin in blood vessels. It occurs around 36-48 hours after death.